Recurrent aphthae resemble recurrent herpes in that
1. symptoms are similar
2. life long immunity results
3. vesicles occur with both diseases
4. intranuclear inclusion bodies are present

Correct answer: 1. symptoms are similar